In these symptoms are related to voiding benign hypertrophy of the prostate except
1. Frequency
2. Dribbling
3. Poor flow
4. Intermittent stream

Correct answer: 1. Frequency

Explanation: Lower urinary tract symptoms in BPH can be described as:voiding* hesitancy (worsened if the bladder is very full);* poor flow (unimproved by straining);* intermittent stream - stops and starts;* dribbling (including after micturition);* sensation of poor bladder emptying;* episodes of near retention;storage* frequency;* nocturia;* urgency;* urge incontinence;* nocturnal incontinence (enuresis).Bailey and love 26e 1343